Painless effusion in joints in Congenital syphilis are called
1. Clutton's joint
2. Charcot's joint
3. Barton's joint
4. Chronic osteomyelitis

Correct answer: 1. Clutton's joint

Explanation: Painless synovitis at puberty in late congenital syphilis is called clutton's joint.